Which of the following act through tyrosine kinase receptor:
1. Insulin
2. Glucagons
3. GH
4. FSH

Correct answer: 1. Insulin

Explanation: A i.e. Insulin